According to transplantations of human Act, all of the following specialists are authorized for pronouncing brain death except:-
1. Neurosurgeon
2. Doctor performing the liver transplant
3. Doctor attending the patient
4. RMP in charge of the hospital

Correct answer: 2. Doctor performing the liver transplant

Explanation: According to THOA, brain stem death is certified by a board of medical experts consisting of all of the following Registered medical practitioner in charge of hospital where brain death has occurred RMP treating the patient A neurologist / Neurosurgeon nominated by panel An independent RMP-a specialist As per latest amendment, if neurologist is not available, any surgeon, physician, anaesthetist or intensivist, nominated by medical in-charge of the hospital may certify brain death Transplant surgeon should never be a part of the team.